Which one of the following is involved in visual pathway?
1. Nucleus gracilis
2. Medial geniculate body
3. Lateral geniculate body
4. Hypothalamus

Correct answer: 3. Lateral geniculate body

Explanation: (C) Lateral geniculate body # Visual pathway:> The visual pathway consists of: The eye, especially the retina The optic nerve The optic chiasma; The optic tract; The lateral geniculate body The optic radiation, Visual cortex, Visual association cortex